Kevorkian sign is seen in
1. Cornea
2. Retinal vessels
3. Pupil
4. Vitreous humour

Correct answer: 2. Retinal vessels

Explanation: Kevorkian sign is seen as a postmortem change that occurs in the retinal *it is characterized by fragmentation of blood column in the retinal vessels *it appears within minutes after and last for about 1 *it can be visualised by using an opthamalscope Other postmortem changes in eye : Cornea -dull, opaque, hazy, wrinkled Flaccidity of eyeballs occurs due to fall in intraocular pressure Tache :One of the post Mortem where a film of cell debris and mucus forms two yellow triangles on sclera on either side of ,with base towards the margin of ,appearing 3-4 hours after death Refer:The essentials of Forensic Medicine and Toxicology ,33rd edition, page 154